Dowry death is covered under which IPC -
1. 304-B
2. 304-A
3. 498
4. 376

Correct answer: 1. 304-B

Explanation: Ans .is 'a' i.e., 304 - B o 304-B IRC: Dowry death: 10 years of imprisonment which can extend to life,o 498-A I PC : Punishment for cruelty by husband or his relatives.Dowry deatho In some cases newly married girls are abused, harassed, cruelly treated and tortured by the husband, in-laws and their relatives for or in connection with any demand for dowry. In extreme cases, the woman is killed by burning or some other method. Law in relation to dowry death are :- Low prescribing punishment and definition (section 304 BIPC)o Husband or (his any) relative wi 11 be tried under section 304Br IPC and shall be deemed to have caused her death, if a woman dies due to bodily injury or bums or otherwise in suspicious circumstances with in 7 years of marriage and it is shown that soon before her death she was subjected to harassment or cruelty by them, in connection with, any demand for dowry. Such death shall be called dowry death. Punishment includes imprisonment of not less than 10years, but which may extend to life imprisonment.Low prescribing punishment for causing cruelty to a married women (Sec. 498A, IPC)o Husband or (his any) relative will be tried under section 498A, IPC for causing cruelty to a married woman. Cruelty is defined as any willful conduct which drives the woman to commit suicide or grave physical or mental injury to her or harassment of the women with a view to coerce (intimidate) her for dowry. Punishment includes imprisonment which may extend upto 3 years and fine.